Man is intermediate host of:
1. Malaria
2. Filaria
3. Dengue
4. Plague

Correct answer: 1. Malaria

Explanation: Malaria REF: Jawett's 24th edition Section VI. Parasitology > Chapter 46. Medical Parasitology Repeat in December 2011, June 2009 Man is the defenitive host in most parasitic infections except in: Echino co ccus granulosus Plasmodium Taenia Solium(man is both defenitive and intermediate host) Toxoplasma gondii Sarcocytis lindemanii